Total gastrectomy is the only way of treatment for:
1. Proximal cancer
2. Distal cancer
3. Ulcerating cancer in the body
4. Polypoidal cancer in the antrum

Correct answer: 1. Proximal cancer

Explanation: Ans. (a) Proximal cancerRef: Sabiston 20th Edition, Page 1224* Margin clearance needed proximally n cancer stomach is6cm - hence needed Total gastrectomy.(NCCN recommends 4cm margin clearance)